All of the following statements regarding jaundice in a newborn are true, Except ________
1. Physiological jaundice usually peaks after 48 hours
2. Breast milk jaundice usually peaks after 7 day
3. High levels of conjugated bilirubin may cause kernincterus
4. All of the above are true

Correct answer: 3. High levels of conjugated bilirubin may cause kernincterus

Explanation: A rapidly rising unconjugated bilirubin concentration, or absolute levels >340 mmol/L (20 mg/dL), puts the infant at risk for bilirubin encephalopathy, or kernicterus. Under these circumstances, bilirubin crosses an immature blood-brain barrier and precipitates in the basal ganglia and other areas of the brain. The consequences range from appreciable neurologic deficits to death. Reference : page 2001 Harrison's Principles of Internal Medicine 19th edition